A child was diagnosed as a case of pauci–immune crescentic glomerulonephritis. The treatment to be given in this child is –
1. Prednisolone + Cyclophosphamide
2. Methylprednisolone
3. Cyclophosphamide
4. Immumoglobins

Correct answer: 1. Prednisolone + Cyclophosphamide

Explanation: Panel-immune glomerulonephritis 

Pauci-immune glomerulonephritis is defined as the lack of anti-GBM antibodies or immune complex.
It is a type of rapidly progressive glomerulonephritis.
Causes are :-
Idiopathic renal-limited crescentic glomerulonephritis (ANCA associated). 
Microscopic PAN        
Microscopic polyangitis            
Wegner's gramdomatosis                                                                                        
It is treated aggressively with glucocorticoids with or without cyclophosphamide or azathioprine